Which of the following is a feature of Treacher Collins syndrome ?
1. Hypoplasia of frontal bone
2. Coloboma of eyelid
3. Low arched palate
4. All of the above

Correct answer: 2. Coloboma of eyelid

Explanation: Coloboma of eyelid is one of the ocular feature of Treacher Collins syndrome Mandibulofacial dysostosis ( aka Treacher Collins syndrome) Refers to a condition resulting from hypoplasia of zygoma and mandible. Features of Treacher Collins syndrome : * Indistinct inferior orbital margin * Coloboma of the lower eyelid * Anti-mongoloid slant * Macrostomia with high-arched palate * External ear deformity * Bird-like face.